Rose waaler test is -
1. Complement fixation test
2. Pricipitation in gel
3. Ring precipitation
4. Passive hemagglutination test

Correct answer: 4. Passive hemagglutination test

Explanation: Ans. is 'd' i.e., Passive hemogglutination test Serological TestsTypeUse to diagnosePaul Bunnell testTube agglutinationInfectious mononucleosisWasserman reactionComplement fixation testsyphilisRose waaler testPassive hemagglutinationRheumatoid arthritisWidal testTube agglutinationTyphoidVDRLSlide precipitationSyphilisKahn's flocculation testTube precipitationSyphilisWeil Felix testHeterophile tube agglutinationationRickettsiaeLancefield testRing precipitationGroup of streptococciAscoli's testRing precipitationAnthrax